Hemophilia A is caused due to deficiency of
1. Factor X
2. Factor XI
3. Factor IX
4. Factor VIII

Correct answer: 4. Factor VIII